A Teenage girl with moderate acne also complaining of irregular menses. Combined pill of choice should contain which of the following?
1. Oral Isotretinoin
2. Oral Acitretin
3. Oral Minocycline
4. Cyproterone acetate

Correct answer: 4. Cyproterone acetate

Explanation: Androgen excess--hirsutism, acne and alopecia--are very common and distressing symptoms in women of reproductive age. The combination of the anti-androgen cyproterone acetate (2 mg) and ethinyl estradiol (35 ug) is of proven efficacy in management of symptoms of both hyperandrogenism and menstrual abnormalities CA should never be taken in reproductive age women without the combined use of oral birth control pills. Cyproterone acetate (CA) acts as a strong anti-androgen and a weak progestin. This takes a full cycle of the hair follicle to start showing results, around 8-10 months. Pt. is also likely to have relapse of symptoms if stopped, hence long term use is the protocol.